Prodormal symptom complex of tetanus consists of -
1. Restlessness
2. Headache
3. Masseter muscle spasm
4. All the above

Correct answer: 4. All the above

Explanation: Ans. is 'd' i.e., All the above Tetanus* Tetanus (lock jaw) is caused by exotoxin produced by Clostridium tetani.* After an incubation perod of 2 days to several weeks, a prodromal symptom complex of restlessness, headache, masseter muscle stiffness and muscle contractionsin the area of wound evolves.* Violent tonic generalized muscle spasms generally follow in 24 hours, culminating in acute respiratory arrest.